A 22 year old athlete had twisting injury to his right ankle. A lot of swelling around the medial malleolus was observed . An X-ray which did not show any fracture. Most probable structur to be injured is :
1. Tendo Achilles
2. Spring ligament
3. Anterior talofibular ligament
4. Deltoid ligament

Correct answer: 4. Deltoid ligament

Explanation: The structure injured here is Deltoid Ligament. Mechanism of Injury : Forced eversion combined with external rotation. Deltoid ligament Forms medial part of the ankle joint. It attaches the medial malleolus to multiple tarsal bones.